The earliest manifestations of increased intracranial pressure following head injury is :
1. Ipsilateral papillary dilatation
2. Contralateral papillary dilatation
3. Altered mental status
4. Hemiparesis

Correct answer: 3. Altered mental status

Explanation: Answer is C (Altered mental status) : `Early signs of elevated ICP include drowsiness and a diminished level of consciousness (altered mental status). Coma and unilateral papillary changes are late signs and require immediate intervention.' -Harrisons